A 3cm tumour of the oral cavity wih a single lymphnode of 2cm diameter on the same side in the neck without any metastasis is staged as -
1. T2 N1 MO
2. T3 Nl M0
3. T2 N2 M0
4. T1 N1 M0

Correct answer: 1. T2 N1 MO

Explanation: Ans. is 'a' i.e., T2 N1 MO o Here's the TNM staging for Oral cavity carcinoma (according to TNM 7th edition)Primary tumor staging of oral cavity carcinomaT0No evidence of primary tumorT1Tumor is <2 cm in greatest dimensionT2Tumor is > 2 cm and < 4 cm in greatest dimensionT3Tumor > 4 cm in greatest dimensionT4a (lip)Primary tumor invading cortical bone, inferior alveolar nerve, floor of mouth, or skin of face (e.g., nose or chin)T4a (oral cavity)Tumor invades adjacent structures (e.g., cortical bone, into deep tongue musculature, maxillary sinus) or skin of faceT4b (lip & oral)Tumor invades masticator space, pterygoid plates, or skull base and/or encases the internal carotid artery Regional lymphadenopathyNXUnable to assess regional lymph nodesN0No evidence of regional metastasisN1Metastasis in a single ipsilateral lymph node, 3 cm or less in greatest dimensionN2aMetastasis in a single ipsilateral lymph node, > 3 cm and < 6 cmN2bMetastasis in a multiple ipsilateral lymph nodes, all nodes < 6 cmN2cMetastasis in a bilateral or contralateral lymph nodes, all nodes < 6 cmN3Metastasis in a lymph node >6 cm in greatest dimension